Langerhan's cells are absent in
1. Junctional epithelium
2. Sulcular epithelium
3. Oral epithelium
4. All of the above

Correct answer: 1. Junctional epithelium